A 70-year-old lady in the emergency came with chest pain. Her ECG shows ventricular tachycardia with ST-segment elevation. Troponin C levels are high. A diagnosis of STEMI is made. The arrhythmias should be treated initially with
1. Lignocaine
2. Adenosine
3. Quinidine
4. Verapamil

Correct answer: 1. Lignocaine

Explanation: Lidocaine is used as drug of choice for emergency treatment of post myocardial infarction arrhythmias. Procainamide or amiodarone can also be used as alternatives. After acute phase of MI, b blockers are used for 2 years or more for arrythmias.